A bactericidal drug would be preferred over a bacteriostatic drug in a patient with
1. Neutropenia
2. Cirrhosis
3. Pneumonia
4. Heart disease

Correct answer: 1. Neutropenia

Explanation: Bactericidal drugs kill the bacteria whereas bacteriostatic drugs only inhibits bacterial growth. Bacteriostatic activity is adequate for the treatment of most infections ,bactericidal activity nay be necessary for cure in patients with altered immune system like neutropenia ,HIV and other immunosuppressive conditions Refer KDT 6/e p686